Most common orbital cyst in children is
1. Neuroenteric cyst
2. Dermoid cyst
3. Lymphoma
4. Clobomatous cyst

Correct answer: 2. Dermoid cyst

Explanation: (Refer: AK Khurana Comprehensive Ophthalmology, 6th edition, pg no. 417) Epidermal dermoid cyst (dermoid) is the most common orbital cystic lesion in children, accounting for over 40% of all orbital lesions of childhood and for 89% of all orbital cystic lesions of childhood that come to biopsy or surgical removal.the most important secondary cyst is a mucocele that can occur in children with cystic fibrosis Orbital dermoid cysts are benign congenital choristomas. They are common in pediatric population, developing adjacent to suture lines, most commonly located in antero-lateral fronto-zygomatic suture, and are slowly progressive. Complete surgical excision without rupture of cyst is the standard of care